Increasing Doses Of Alcohol Depresses Brain In The Following Order.
1. Cerebellum, Frontal lobe, occipital lobe
2. Frontal lobe, Cerebellum, Occipital lobe
3. Frontal lobe, occipital lobe, cerebellum
4. Cerebellum, Occipital lobe, Frontal lobe

Correct answer: 3. Frontal lobe, occipital lobe, cerebellum

Explanation: * The frontal lobes are sensitive to low concentrations (resulting in mood changes) followed by the occipital lobe (visual disturbances) and cerebellum (loss of coordination) * At high doses, brain stem depression occurs.